Anton syndrome is
1. Cortical blindness
2. Patients densies that he is blind
3. Both of the above
4. None

Correct answer: 3. Both of the above

Explanation: (C) Both of the above # Bilateral infarction in the distal PCAs produces cortical blindness (blindness with preserved pupillary light reaction). The patient is often unaware of the blindness or may even deny it (Anton's syndrome).> Tiny islands of vision may persist, and the patient may report that vision fluctuates as images are captured in the preserved portions. Rarely, only peripheral vision is lost and central vision is spared, resulting in "gun-barrel" vision.